Inferior thyroid vein drains into -
1. Internal jugular vein
2. Superior vena cava
3. Brachiocephalic vein
4. External jugular vein

Correct answer: 3. Brachiocephalic vein

Explanation: Venous drainage of the thyroid:-

Superior thyroid vein - Drains into an Internal jugular vein.
Middle thyroid vein - Drains into the internal jugular vein.
Inferior thyroid vein - Drains into a Left brachiocephalic vein.
Fourth thyroid vein of Kocher - Drains into the internal jugular vein.